Best source of vitamin D -
1. Fish liver
2. Egg yolk
3. Milk
4. Papaya

Correct answer: 1. Fish liver

Explanation: Ans. is 'a' i.e., Fish liver* Though vitamin D is synthesised when UV B photons strike 7 dehydrocholesterol of malphigian layer of skin epidermis, vitamin D is still considered as an essential micronutrient because Vitamin D produced from sunlight is not sufficient. Hence we are dependent on vitamin D supplementation in the diet.* Natural dietary sources of vitamin D include:1. Fish cod liver - 2200IU/200Calorie2. Herring fish - 2000 IU/200C3. Salmon Fish - 900 IU/200C4. Fortified milk -300 IU/200C5. Unfortified milk - 100 IU/200C6. Egg Yolk-68IU/200 C